Type of voice in nasopharyngeal fibroma is:
1. Rhinolalia aperta
2. Rhinolalia clausa
3. Hot-potato voice
4. Staccato voice

Correct answer: 2. Rhinolalia clausa

Explanation: Rhinolalia clausa is a voice with lack of nasal resonance and is caused when nose or nasopharynx is blocked, e.g. adenoid hyperplasia, nasal or nasopharyngeal tumours or inflammation.Rhinolalia aperta is nasal resonance for words which are not normally resonated through nose or nasopharynx. It is seen when soft palate fails to cut off nasopharynx or due to an abnormal communication between nose and palate. It is seen in velopharyngeal insufficiency, cleft palate, oronasal fistula, etc.Hot-potato voice is muffled speech seen in peritonsillar abscess and cancer base of tongue.Staccato speech is seen in parkinsonism.